Best diagnostic aid for Bronchiectasis is
1. Bronchoscopy
2. X-ray
3. Bronchography
4. CT scan

Correct answer: 4. CT scan

Explanation: (D) CT scan # Bronchography, the previous gold standard for diagnosing bronchiectasis, has been largely replaced by CT. Though, CT is not as sensitive as bronchography, it is considerably safer and can be done sequentially to follow the patient's course.> Thin-section high resolution CT (HRCT) may be needed. A CT scan after inhalation of xenon may prove even more sensitive.